Regarding blood supply of pancreas, which of the following is true statement?
1. Both superior and inferior pancreacticoduodenal artery is branch of gastroduodenal artery
2. Posterior-superior pancreacticoduodenal artery is a branch of superior mesenteric artery
3. Anterior Inferior pancreacticoduodenal artery is a branch of superior mesenteric artery
4. Posterior inferior pancreacticoduodenal artery is a branch of gastroduodenal artery

Correct answer: 3. Anterior Inferior pancreacticoduodenal artery is a branch of superior mesenteric artery

Explanation: Arterial supply of pancreas : Inferior pancreacticoduodenal artery -Arise from superior mesentric artery -Supply head and uncinate process of pancreas and second and third part of duodenum Superior pancreacticoduodenal artery -Arise from gastroduodenal artery Divides into anterior and posterior branches -Supplying pancreas head and Ist and 2ndpa of duodenum